Initial treatment of congenital dacryocystitis -
1. Massaging
2. Probing
3. D C R
4. Ointment

Correct answer: 1. Massaging

Explanation: Immediate treatment (at 7 days of life) of congenital dacryocystitis is massage over the lacrimal sac. It cures obstruction in 90% of infants.